Which of the following antibiotics acts by inhibiting cell wall synthesis
1. Cefepime
2. Aminoglycosides
3. Erythromycin
4. Doxycycline

Correct answer: 1. Cefepime

Explanation: Cefipime[Ref. K.D.T. 6111/e P 669 & 5111/e p 6281